Primary cause of hyaline membrane disease is
1. Prematurity
2. Oxygen toxicity
3. Alveolar inflammation
4. Surfactant deficiency

Correct answer: 4. Surfactant deficiency

Explanation: Ans. d (Surfactant deficiency). (Ref. Nelson, Textbook of Paediatrics, 18th/731)HYALINE MEMBRANE DISEASE# Common in premature, IDM and infants delivered by caesarean section.# Clinically manifests shortly after birth (dyspnoea and cyanotic attacks).# X-ray chest shows "ground glass" mottling.# As HMD progresses, influx of plasma renders the lungs more radio-opaque, reticulogranular shadowing becomes more confluent & ground glass haziness is seen with loss of clarity of diaphragm & heart.# Mortality 33%# Hyaline membrane is a homogenous eosinophilic membrane plastering the alveolar ducts and terminal bronchiole in HMD.# Rx .-Timely steroids, exogenous surfactant therapy and oxygen (not 100 %) are useful in treatment.